All of the following are present beneath floor of 4th ventricle except
1. Hypoglossal nucleus
2. Facial nucleus
3. Abducens nucleus
4. Facial nerve

Correct answer: 2. Facial nucleus

Explanation: Facial colliculus, a swelling in floor of 4th ventricle is formed by facial nerve looping around abducens nucleus. So facial nucleus doesn’t form the floor of 4th ventricle.